All are features of pyramidal tract lesion, Except -
1. Involuntary movement
2. Positive Babinski's sign
3. Spasticity
4. Increased deep tendon reflexes

Correct answer: 1. Involuntary movement